Type l MEN involves all, except -
1. Pancreas
2. Adrenal
3. Pituitary
4. Parathyroid

Correct answer: 2. Adrenal

Explanation: Ans. is 'b' i.e., Adrenal Characteristic triad of MEN IParathyroid tumors (Most common)Pancreatic endocrine tumors (Second most common)Pituitary tumors (Third most common)Hyperparathyroidism is the mostCommon manifestation of MEN I.-- HarrisonNeoplasia of the pancreatic islet is the second most common manifestation of MEN1.Pituitary tumors are third most common tumors of MEN / and occur in more than half of patients with MEN I.Relative frequency of tumors causing hyperparathyrodism :Relative frequency of endocrine tumors of pancreatic islets:Relative frequency ofpituitary tumors:o Parathyroid hyperplasia is the most common cause of hyperparathyroidism in MEN Io Pancreatic polypeptide (75-82%)o Prolactinomas are the most common pituitary tumors in MEN Io Gastrin (60%) (Gastrinomas/ZES)o Insulin (25-30%) (Insulinomas)o Acromegaly due to excessive growth hormone (GH) production is the second most common pituitary tumor in MEN Io Parathyroid adenomas are less common than parathyroid hyperplasia and tend to occur in older patient or those with long standing disease.o Glucagon (5-10%) (Glucagonoma)o VIP (3-5%) (VIPomas)o Somatostatin (1-5%) (Somatostatinoma)o Cushing s syndrome Other tumors in MEN Io Pheochromocytomaso Carcinoid tumours (foregut type : derived from lung; thymus, stomach or duodenum).o Subcutaneous and visceral lipomas.o Cutaneous leiomyomas.o Skin angiofibromas or collagenomas.